Placenta accreta is associated with all except :
1. Placenta previa
2. Uterine scar
3. Multipara
4. Uterine malformation

Correct answer: 4. Uterine malformation

Explanation: Risk factors for placenta accreta : Present placenta previa Previous H/o cesarean section Previous curettage Previous manual removal of placenta Previously treated Asherman syndrome Myomectomy Multiparity Advanced age Ref: Datta Obs 9e pg 394.